MYC gene is
1. Protein kinase inhibitor
2. Growth factor inhibitor
3. GTPase
4. Transcription activator

Correct answer: 4. Transcription activator

Explanation: Harshmohan textbook of pathology 7th edition. MYC gene its a proto oncogene code for nuclear transcription factor C- MYC, N- MYC , L- MYC. .